Which of the following is not used in the treatment of pulmonary hypertension?
1. Calcium channel blockers
2. Alpha blockers
3. Prostacyclins
4. Endothelin receptor antagonists

Correct answer: 2. Alpha blockers

Explanation: Alpha blocker like prazosin, doxazosin, tamsulosin have no role in pulmonary hypertension Prostacyclin I2 analogs, endothelin antagonists like macicentan are used in pul.HTN CCBs- cause vasodilation thereby providing benefit in Pul. HTN sildenafil, tadalafil- PDE5 inhibitors are also used Ref: KD Tripathi 8th ed